Which of the following protozoan affects the eye?
1. E. histolytica
2. E. coli
3. Giardia lambia
4. Toxoplasma

Correct answer: 4. Toxoplasma

Explanation: Ans. (d) ToxoplasmaRef: Yanoff 3/e, Chapter 7.12 Ocular; Toxoplasmosis; Harrison 18/e, p. 1724Toxoplasmosis is the most common cause of posterior uveitis and accounts for approximately 90% of focal necrotizing retinitis.